Which of the following remnant of wolffian duct is present on medial part of broad ligament
1. Epoophoran
2. Kobelt tubercle
3. Paroophoran
4. Gartner's duct

Correct answer: 3. Paroophoran

Explanation: All remnants of wolffian duct are present in lateral part of broad ligament except paroophoron.